Portocaval anastomosis is seen at all of the following places, except-
1. Gastroesophageal junction (lower end of esophegus)
2. Rectum
3. Spleen
4. Liver

Correct answer: 3. Spleen

Explanation: Ans. is 'c' i.e., Spleen Sites of portocaval anastomosesSitePortal veinSystemic veinThe lower end of esophagusLeft gastricOesophageal veins (tributaries of a hemizygous vein)UmbilicusParaumbilicalAbove - Superior epigastric, lateral thoracicBelow - Superior epigastric, inferior epigastricSides - Posterior intercostal, lumbarThe lower end of rectumSuperior rectalMiddle and inferior rectalPosterior abdominal wallSplenicLeft renal vein and other tributaries of IVC (veins of Retzius)Bare area of liverPortal radiclesDiaphragmaticFalciform ligamentParaumbilicalDiaphragmaticLigamentum versosumLeft branch of portal1VC via ductus venosusPosterior vaginal wallSuperior rectalVaginal venous plexus